Double bubble sign in seen in –
1. Duodenal atresia
2. Jejunal atresia
3. Pyloric stenosis
4. Hirschprung disease

Correct answer: 1. Duodenal atresia

Explanation: Double bubble sign is seen in duodenal atresia, duodenal web, duodenal stenosis, Ladd's band, Annular pancreas, Malrotation of the gut, preduodenal vein.